Which of the following is the drug of choice for Addison's disease?
1. Hydrocortisone
2. Betamethasone
3. Dexamethasone
4. Prednisolone

Correct answer: 1. Hydrocortisone

Explanation: Hydrocortisone is the drug of choice for the acute treatment of an Addisonian crisis. Hydrocortisone has 1% of mineralocorticoid activity of aldosterone so concomitant mineralocorticoid replacement therapy is not needed when large doses of hydrocortisone are needed. As the precipitating illness resolves, hydrocortisone is tapered to maintenance doses over 1 to 3 days. Mineralocorticoid deficiency is treated with saline and fluid loading. Mineralocorticoid replacement therapy with fludrocortisone is started when the patient is stable and is able to take oral medications. Ref: Textbook of Therapeutics: Drug and Disease Management edited by Richard A. Helms, page 975.